"Keratotic sandal" is  seen in which of the following?
1. Reiter's disease
2. Pityriasis rubra pilaris
3. Tinea versicolor
4. Sezary syndrome

Correct answer: 2. Pityriasis rubra pilaris

Explanation: Pityriasis rubra pilaris present with red hyperkeratotoc follicular papules and thickening of palms & soles.
Often the thickening on sole is so thick that it appears like a sandal - termed as "Keratotic sandal"